The most common complication in spinal anaesthesia is
1. Post spinal headache
2. Hypotension
3. Meningitis
4. Arrhythmia

Correct answer: 2. Hypotension

Explanation: During surgery 1. Hypotension most common complication Rx. Prophylactic preloading with 1-1.5L of fluids (colloid preferred) Curative: a Foot end elevation b Infusion of fluids (colloids better than crystalloids) c Vasopressors Mephentermine Ephedrine Phenyl Ephrine Dopamine (if not controlled) 2. Bradycardia Rx-Atropine 3. High Spinal complications depends on levels of block up to cardio-accelrator fibres then bradycardia & hypotension, if involves cervical Diaphragmatic paralysis occur Rx. IPPV 4. Resp. paralysis (Apnea) 5. Nausea & Vomiting Rx- oxygenation Correct hypotension Metoclopramide/ Ondansetron (if not C/I) 6. Apprehension & anxiety Rx-sedate the patient Post op. 1. urinary retention 2. Neurological complications A. Post spinal headache B. Cauda equina syndrome C. Paraplegia (mostly because of epidural haematoma) Rs: Exploration & drainage of haematoma D. Paralysis of cranial N. 6th most commonly (1st ,9th, 10th are not involved) E. Anterior spinal A. syndrome F. Meningitis 3. Backache